Outer border of pubic crest forms which structure?
1. Pubic tubercle
2. Pectin pubis
3. Anterior superior iliac spine
4. Linea terminalis

Correct answer: 1. Pubic tubercle

Explanation: Ans. is 'a' i.e., Pubic tuberclePubic crest ends laterally in pubic tubercle